. Renal damage due to amphotericin B are all, except-
1. Azotemia
2. Renal tubular acidosis
3. Glomerulonephritis
4. Hypokalemia

Correct answer: 3. Glomerulonephritis

Explanation: Impaired renal function is a relatively common complication of amphotericin B, as are other renal manifestations, including urinary potassium wasting and hypokalemia, urinary magnesium ,renal cell acidosis, azotemia,wasting and hypomagnesemia, metabolic acidosis due to type 1 (or distal) renal tubular acidosis, and polyuria due to nephrogenic Ref Harrison20th edition pg 267